Definite contraindication for bag and mask ventilation is:
1. Cleft lip
2. Cleft palate
3. Congenital diaphragmatic hernia
4. Umbilical hernia

Correct answer: 3. Congenital diaphragmatic hernia

Explanation: c. Congenital diaphragmatic hernia(Ref: AAP guidelines 2015, Ghai 8/e p 126-133)Bag & mask ventilation should be avoided in Congenital diaphragmatic hernia, because it enlarges the stomach and small bowel and thus makes oxygenation more difficult.